Radiation exposure during which period of Pregnancy is highly lethal
1. During fetal cardiac development
2. Before implantation
3. During closure of proximal neural tube
4. None of the above

Correct answer: 2. Before implantation

Explanation: Lethality risk is highest during the pre-implantation period - up to 10 days post conception. This is likely due to blastomere destruction caused by chromosomal damage.